A female patient presented with left iliac fossa pain for the past 6 months. On investigation, a 3 cm left renal pelvic stone was found with no hydroureteronephrosis, normal functioning kidneys on both sides and no distal obstruction. The ideal management would be
1. Percutaneous nephrolithotomy (PCNL)
2. Extra-corporeal shock wave lithotripsy (ESWL)
3. Laparoscopic nephrolithotomy
4. Medical dissolution therapy with oral potassium citrate

Correct answer: 1. Percutaneous nephrolithotomy (PCNL)

Explanation: Ans. a. Percutaneous nephrolithotomy